Which of the following is not a component of young's syndrome
1. Bronchiectasis
2. Sinusitis
3. Situs inversus
4. Obstructive azoospermia

Correct answer: 3. Situs inversus

Explanation: Components of Young's syndrome:
Bronchiectasis
Sinusitis
Obstructive azoospermia.